Shape of RBC is biconcave due to?
1. Ankyrin
2. Spectrin
3. Band protein
4. Glycophorin - C

Correct answer: 2. Spectrin

Explanation: The most important constituent of the cytoskeleton is protein spectrin. Includes alpha and beta chains.Interwined spectrin molecules are linked together by other cytoskeletal proteins and actin to form a lattice like network which is attached to the internal surface of the membrane.This network is a resilent structure which normally causes red cells to resume the biconcave disc form after forces causing distortion are removed Ref:deGruchy's clinical haematology in medical practice 6th adapted edition.page no.16 Ref Robbins 9/e pg 410